Preferred time for prophylactic antibiotic administration for surgery:
1. 1 day before surgery
2. At the time of induction of an anesthesia
3. I.V during surgery
4. Through I.M route before 6 hr of surgery

Correct answer: 2. At the time of induction of an anesthesia